Putting profit ahead of health as a cause of disease is provided by theory of sociology
1. Marxist theory
2. Feminist theory
3. Parsonian theory
4. Foucauldian theory

Correct answer: 1. Marxist theory